Treatment of Hodgkin's disease -
1. CHOP
2. MOPP
3. ABVD
4. None

Correct answer: 3. ABVD

Explanation: The ABVD(doxorubicin,vinblastine,bleomycin,dacarbazine) is used in the treatment of Hodgkin's disease .Thd incidence of infertility & secondary myelodysplasia /ALL is low with this regime.

Reference :Davidson's principles & practice of medicine 22nd edition pg no 1043